Which of the following is the established biological therapy for Crohn's disease?
1. Anti TNF a antibody
2. IL - I antagonist
3. IL - 6 antagonist
4. IL - 8 antagonist

Correct answer: 1. Anti TNF a antibody

Explanation: Tumor Necrosis Factor (TNF) is a key inflammatory cytokine and mediator of intestinal inflammation. The expression of TNF is increased in IBD. Infliximab is a chimeric human monoclonal antibody against TNF that is extremely effective in Crohn's disease. Recently adalimumab has also been approved for treatment of moderate to severe crohn disease. Newer Immunosuppressive Agents for IBD Tacrolimus Mycophenolate mofetil 6-Thioguanine Thalidomide